Tophus is the pathognomic lesion of which of the following condition -
1. Multiple myeloma
2. Cystinosis
3. Gout
4. Eale's disease

Correct answer: 3. Gout

Explanation: Gout

Gout is the common endpoint of a group of disorders that produce hyperuricemia.
It is marked by transient attacks of acute arthritis initiated by crystallization of monosodium urate into the joints, leading eventually to chronic gouty arthritis and deposition of masses of urates in joints and other sites, creating top
Most common joint involved in gout is a big toe, i.e. metatarsophalangeal joint of the great toe.